Most common mode of treatment of a 1 year child with asthma is:
1. Inhaled short acting b2 agonist
2. Oral short acting theophylline
3. Oral ketotifen
4. Leukotriene agonist

Correct answer: 1. Inhaled short acting b2 agonist

Explanation: a. Inhaled short acting p2 agonist(Ref: Nelson's 20/e p 1095-1115, Ghai 8/e p 382-392)Most commonly beta agonists (bronchodilators) are used in the treatment of Asthma in all age groups.